Which of the following is the most important mediator implicated in development of fever:
1. PGF2
2. PGE2
3. PGD2
4. FGA2

Correct answer: 2. PGE2

Explanation: PGF2α is a vasoconstrictor whereas PGD2 and PGE2 are vasodilators. 
PGE2 is the most important chemical for development of fever.